Fungi which cannot be cultured
1. Candida
2. Pneumocystis
3. Malassezia
4. Blastomyces

Correct answer: 2. Pneumocystis

Explanation: Pneumocystis jirovecii & Rhinosporidium seeberi cannot be cultured.